Stimulation of the following receptor produce renin
1. Alpha 1
2. Alpha 2
3. Beta 1
4. Beta 2

Correct answer: 3. Beta 1

Explanation: Beta 1 receptors are present opn JG apparatus producing increased renin.